Which of the following is the ultimate goal of dental
epidemiology?
1. Control of dental diseases
2. Description of dental diseases
3. Development of indices for dental diseases
4. Identification of dental diseases

Correct answer: 1. Control of dental diseases